Indication of Sentinel node Biopsy in cancer breast
1. Metastasis
2. Breast mass with Palpable Axillary Node
3. Breast mass without Palpable Axillary node
4. Stage III cases

Correct answer: 3. Breast mass without Palpable Axillary node

Explanation: Ans. (c) Breast Mass without palpable axillary node(Ref. Bailey and love 27th edition Page 877)* Sentinel node biopsy is indicated only for Node non palpable cases.* Palpable node always Cytology (FNAC) Done